Intermediate host for hydatid disease ?
1. Man
2. Dog
3. Cat
4. Foxes

Correct answer: 1. Man

Explanation: Ans. is 'a' i.e., Man Echinococcus granulosus . Also known as dog tape worm, hydatid worm. . Habitat . Definitive host . Intermediate host . Infective form . Mode of infection Small intestine of dog and other canine animals (wolf, fox and jackle) Dog, wolf, fox, jackle Sheep, pig, cattle, horse, goat, man. Egg Ingestion of eggs.